Maximum K+ concentration is seen in ___________
1. Saliva
2. Colon
3. Small intestine
4. Stomach

Correct answer: 2. Colon

Explanation: Maximum K+  secretion occurs in saliva.
Maximun K+ concentration occurs in colon.